In which phase of cell cycle does DNA replication occur?
1. G1 phase
2. G2 phase
3. S phase
4. M phase

Correct answer: 3. S phase

Explanation: DNA replication occur during S phase of cell cycle. Phases of cell cycle are: G0 phase: G0 phase is the resting phase of the cell where the cell cycle is suspended. G1 phase: It is the gap between mitosis (M phase) and DNA synthesis (S phase). During G1 phase RNA, protein and organelle synthesis occurs. G2 phase: It is the gap between S phase and mitosis (M phase). During this phase ATP synthesis occurs. M phase: During this pahse cell division occurs. Ref: High-YieldTM Cell and Molecular Biology, 2e By Ronald W. Dudek, Ph.D. Page 123